Diffuse proliferative glomerulonephritis, in Lupus nephritis falls under -
1. Class II
2. Class III
3. Class IV
4. Class V

Correct answer: 3. Class IV

Explanation: Robbins basic pathology 9th edition page no 128,Heading =Morphology(box) Diffuse lupus nephritis (class4) is the most serious form of renal lesions in SLE and is also the most commonly encountered in renal biopsies, occuring in35%to65%of patients. It is distinguished from focal lupus nephritis (class3) by involvement of half or more of glomeruli.